Which of the following is not seen in hereditary spherocytosis -
1. Direct Coombs test + ve
2. Increased osmotic fragility
3. Leg ulcers
4. Splenomegaly

Correct answer: 1. Direct Coombs test + ve